Awareness of having a disease is
1. Insight
2. Perseveration
3. Delusion
4. Incoherence

Correct answer: 1. Insight

Explanation: Ans. a (Insight). (Ref. Psychiatry by Niraj Ahuja, 5th ed., 14, 41, 57, 72, 85, 95, 171)Term DefinitionPerseverationis persistent repetition of words beyond their relevance.Verbigerationis senseless repetition of same words or phrases.Delusionsare false unshakable belief in something that is not true.Insightis awareness of being diseased or sick.Insight is preserved in OCD.Insight is rated on six point scale from one to six:# Complete denial of illness# Slight awareness of being sick and need help, but denying# Awareness of being sick, but attributed to external/physical factors.# Awareness of being sick due to something unknown in itself.# Intellectual insight.# True emotional insight.